All of the following parameters increase in post-menopausal women except
1. Plasminogen activator inhibitor- 1
2. Factor VII
3. Fibrinogen
4. Antithrombin

Correct answer: 4. Antithrombin

Explanation: Menopausal transition increases clotting parameters fibrinogen, factor VII, plasminogen activator inhibitor - 1, that lead to relatively hypercoagulable state.